Left superior oblique and left inferior rectus are
1. Yoke muscles
2. Antagonists
3. Agonists
4. Synergists

Correct answer: 4. Synergists

Explanation: Synergists: It refers to the muscles having the same primary action in the same eye; e.g., 1) superior rectus and inferior oblique of the same eye act as synergistic elevators. 2) Inferior rectus and superior oblique of the same eye act as synergistic depressors. Ref:- A K KHURANA; pg num:-316